CD marker of MALT lymphoma is? -
1. CD 3
2. CD 5
3. CD 20
4. CD 40 1467.

Correct answer: 3. CD 20

Explanation: MALTOMA is characterised by diffuse infilteration by monoclonal small B lymphocytes. CD 20 is a B cell marker.But its negetive for CD 5 Ref: Harsh Mohan textbook of pathology, 7th edition.Pg no.356,357 Ref Robbins 9/e pg442